Filgrastim is used in the treatment of -
1. Anemia
2. Neutropenia
3. Malaria
4. Filaria

Correct answer: 2. Neutropenia

Explanation: Ans. is 'b' i.e., Neutropenia o Filgrastim is a recombinant human granulocyte colony stimulating factor (G-CSF) effective in the treatment of severe neutropenia.